Which of the following drugs has been found to be useful in acute severe asthma?
1. Magnesium Sulphate
2. Anti-leukotrine
3. Cromolyn Sodium
4. Cyclosporine

Correct answer: 1. Magnesium Sulphate

Explanation: Ans. (A) Magnesium sulphate(Ref: Harrison 17th/e p1605)Magnesium sulphate by i.v. or inhalational route has been used for the treatment of acute severe asthma. All other drugs mentioned in the options are used for prophylaxis of asthma.